The most common hematologic finding associated with pulmonary tuberculosis is :
1. Mild anemia, leukocytosis,thrombocytosis with slightly elevated ESR
2. Mild anemia, leukopenia,thrombocytopenia with marked elevation in ESR
3. Mild anemia, Leukocytosis,Thrombocytopenia with marked elevation in ESR
4. Mild anemia leukocytosis, thrombocytosis with normal ESR

Correct answer: 1. Mild anemia, leukocytosis,thrombocytosis with slightly elevated ESR

Explanation: The most common hematologic findings are mild anemia, leukocytosis, and thrombocytosis with a slightly elevated erythrocyte sedimentation. Reference: Harrisons Principles of Internal Medicine, 18th Edition, Page 1346